Traetment for periductal mastitis
1. Hadfield's operation
2. Patey's mastectomy
3. Modified radical mastectomy
4. Radical mastectomy

Correct answer: 1. Hadfield's operation

Explanation: Duct cectasia is the dilatation of lactiferous ducts due to muscular relaxation of duvt wall with periductal mastitis. C/f: greenish dicharge from nipple. Slit like retraction of nipple due to fibdosis can occur May form abcess and fistula Treatment : To stop smoking Antibiotics Cone excision of major ducts-Hadfield operation. SRB's Manual of Surgery.Edition -5. Pg no:525